Telecanthus means-
1. Widened interpupillary distance
2. Widened root of nose with normal interpupillary distance
3. Widely separated medial orbital wall
4. Widely separated nose and medial canthi

Correct answer: 2. Widened root of nose with normal interpupillary distance

Explanation: Telecanthus Vs hypeelirism *Telecanthus is an increased distance between two inner canthi seen clinically as widened root of nose, but the inter- pupillary distance is normal. *Hypertelorism is an increased distance between two orbits often measured clinically as increased interpupillary distance. Ref: Kanski 6th/e p.756